The laser procedure, most often used for treating iris neovascularization is -
1. Goniophotocoagulation
2. Laser trabeculoplasty
3. Panretinal photocoagulation (PRP)
4. Laser iridoplasty

Correct answer: 3. Panretinal photocoagulation (PRP)

Explanation: Panretinal photocoagulation is used to prevent further neovascularization Ref:Comprehensive ophthalmology-AK Khurana 6th edition chapter-10 page no:250 Ref:Comprehensive ophthalmology-AK Khurana 6th edition chapter-10 page no:250